Associated with surveillance are all of the following except:
1. Sentinel search
2. Randomisation
3. Information regarding trends of health status of population
4. Providing timely warnings of public health disasters

Correct answer: 2. Randomisation

Explanation: Ans. B: Randomisation Disease surveillance is an epidemiological practice by which the spread of disease is monitored in order to establish patterns of progression. The main role of disease surveillance is to predict, observe, and minimize the harm caused by outbreak, epidemic, and pandemic situations, as well as increase our knowledge as to what factors might contribute to such circumstances. A key part of modern disease surveillance is the practice of disease case reporting. The main objectives of surveillance are: To provide information about new and changing trends in the health status of population To provide feedback which may be expected to modify the policy Provide timely warning of the public health disasters so that timely interventions can be mobilized. Sentinel surveillance is a method for identifying all the missing cases and thereby supplementing the notified cases.